Telomerases are:
1. DNA dependent DNA polymerase
2. RNA dependent DNA polymerase
3. DNA dependent RNA polymerase
4. RNA dependent RNA polymerase

Correct answer: 2. RNA dependent DNA polymerase

Explanation: Telomerases are RNA dependent DNA polymerase. Telomerase enzyme is present in germ cells and stem cells. And because of the presence of telomerase these cells have infinite number of divisions as compared to somatic cells. Telomerase prevent Telomere shortening. Telomerase activity increases in cancer. Telomerase activity decreases ageing.